Plummer-Vinson syndrome is characterized by all EXCEPT:
1. Glossitis
2. Oesophageal webs
3. Megaloblastic anaemia
4. Oesophageal dysphagia

Correct answer: 3. Megaloblastic anaemia

Explanation: (Megaloblastic anaemia): Ref: 776-R (436- Basic pathology 8th)PLUMMER-VINSON OR PATERSON - KELLY SYNDROME: - The combination of iron deficiency anaemia, glossitis, and esophageal dysphagia usually related to the webs is known as Plummer-vinson syndrome.